Atavism means child resembles with his –
1. Father
2. Siblings
3. Grand parents
4. Neighbour

Correct answer: 3. Grand parents

Explanation: Atavism means

The appearance of a characterstics presumed to have been present in some remote ancestor due to chance recombination of genes or environmental conditions favourable to their expression in the embryo.